Which of the following is the most common central nervous system parasitic infection?
1. Echinococcosis.
2. Sparganosis.
3. Paragonimiasis.
4. Neurocysticercosis.

Correct answer: 4. Neurocysticercosis.

Explanation: Ans. is 'd' i.e. Neurocysticercosis Cecil writes - "The most common parasitic infestation to affect the nonimmuno suppressed host is neurocysticercosis, a disorder caused by the larval form of taenia solium"About NeurocysticercosisMode of entry ingestion of eggs from fecally contaminated food.Most common presentationSeizuresTreatment*Praziquantel orAlbendazole (Not Niclosamide)Anticonvulsants for seizure controlGlucocorticoids